1mm change in the axial length of the eyeball produces a change in refractive index by:
1. 1 D
2. 2 D
3. 3 D
4. 4 D

Correct answer: 3. 3 D

Explanation: Ans. C: 3D 1mm change in the axial length of the eyeball produces a change in refractive index by 3 D. Elongation produces myopia and shortening causes hypermetropia. 1 mm change in the radius of curvature of the cornea produces a 6 D refractive change. Steeper (more curved) corneas produce myopia and flatter corneas hypermetropia.